Among the following which has the highest quantity of retinol per 100 g of fruit ?
1. Papaya
2. Orange
3. Ripe mango
4. Tomato

Correct answer: 3. Ripe mango